Selenite F broth is:
1. Indicator medium
2. Selective medium
3. Enrichment medium
4. Enriched medium

Correct answer: 3. Enrichment medium

Explanation: Ans. C. Enrichment medium. (Textbook of Microbiology by Ananthanarayan 7th/Pg. 37Enrichment medium is the one in which substances which have a stimulating effect on the bacteria to be grown or an inhibitory effect on those to be suppressed are incorporated so that an absolute increase in the no. of thewanted bacterium relative to other occurs. Selenite-F Broth is used as an enrichment medium for the isolation of Salmonella from feces, urine, water, foods. Other e.g. include tetrathionate broth (in which tetrathionate inhibits conforms while allowing typhoid-paratyphoid bacilli to grow freely).Selenite-F BrothApproximate Formula* Per Liter Purified WaterPancreatic Digest of Casein......................5.0 gLactose..............................................4.0 gSodium Selenite....................................4.0 gSodium Phosphate.................................10.0 g